The first line of treatment of infertility in PCOD is
1. Cabergoline
2. GNRH
3. Clomiphene
4. FSH

Correct answer: 3. Clomiphene

Explanation: Clomifene, also known as clomiphene, is a medication used to treat infertility in women who do not ovulate. 
This includes those who have polycystic ovary syndrome. Use results in a greater chance of twins. It is taken by mouth once a day.